Inheritance of gardener syndrome is
1. A. Autosomal recessive
2. B. Autosomal dominant
3. C. X-linked dominat
4. D. X-linked recessive

Correct answer: 2. B. Autosomal dominant

Explanation: It is sub type of familial adenomatosis polyposis inherited as an autosomal dominant disorder Gardener syndrome ;intestine polyps +epidermal cysts+fibromatosis+osteomas Refer 8/e p816